All are features of a normally decomposed body except -
1. Greenish discoloration of skin over caecum
2. Blisters over skin
3. Mummification
4. Small miliary skin granules

Correct answer: 3. Mummification

Explanation: Mummification is not seen in a normally decomposed body. Mummification is a modification of putrefaction and occurs in conditions specially suited for it.